Hypochlorite does not cause
1. Bleaching
2. remove smear layer
3. Lubricating
4. Flush out debris

Correct answer: 2. remove smear layer